Regarding pectus excavatum all are true except ?
1. Gross CVS dysfunction
2. Decrease in lung capacity
3. Cosmetic deformity
4. Depression in chest

Correct answer: 1. Gross CVS dysfunction

Explanation: Answer is 'a' i.e. Gross CVS dysfunction Pectus Excavatum Also called funnel chest' is the most common chest wall deformity. Males are affected more than females (4:1). Pectus excavatum arises from imbalanced or excessive growth of the lower costal cartilages. Typically the defect is diagnosed within the first yr of life and worsens over time. Depression may range from mildly depressed sternum to sternal depression abutting the vertebral column with displacements of mediastinal structures. Other conditions associated with Pectus Excavatum: Scoliosis Marfan's syndrome Mitral valve prolapse Congenital heart diseases - Asthma Majority of pateints are asymptomatic. Some subjects report a decrease in respiratory reserve and pain along the costal cartilages with exercise. Pulmonary function testing may show restrictive pattern of pulmonary abnormality. CVS dysfunction is very rare and mild if ever seen. Main indication for tit is cosmetic. The surgical correction of a pectus excavatum is not done before the age of 5 years because a severe, postoperative restrictive chest wall deformity may result. Also Remember Pectus carinatum (also Ida pigeon chest) is a chest defect characterized by an anterior protrusion deformity of the sternum & costal cartilages.